The major initiating response for peristalsis is
1. Hormonal
2. Local stretching of gut
3. Neural
4. Gastric acid

Correct answer: 2. Local stretching of gut

Explanation: The major initiating response for peristalsis is local stretching of the gut. Peristalsis is a reflex that is initiated when the gut wall is stretched by the contents of the lumen. It occurs in all parts of the gastrointestinal tract from the esophagus to the rectum. The stretch initiates a circular contraction behind the stimulus and an area of relaxation in front of it. The wave of contraction then moves in an oral-to-caudal direction. This propels the contents of the lumen forward at rates that vary from 2 to 25 cm/s Ref: Ganong's Review of Medical Physiology 26th edition Pgno: 485